The lacerated wound will look like an incised wound in the region of-
1. Palm
2. Forehead
3. Chest
4. Abdomen

Correct answer: 2. Forehead

Explanation: Ans-B (4.10-Parikh 6th)Split lacerations (Incised like or incised looking wound)* Blunt force on areas where the skin is close to bones, and the subcutaneous tissues are scanty, may produce a wound which by the linear splitting of the tissues may look like an incised wound. Common sites (4.10 Parikh 6th)(181- Reddy 32th edition)* Scalp* Scalp* Face* Eyebrows* Hands* Cheekbones* Lower legs* Lower jaw * Iliac crest * Perineum * Shin* Flying is seen in Avulsion type lacerations.* The incisional wound on genital is seen commonly in Homicides.* Face - lesser impact causes a maximum bruise.* Rickshaw tire mark is an example of patterned abrasion/bruise since it reproduces the pattern of the object (Tread of Rickshaw tyre).* Primary impact injury are commonly seen on the legs.* Commonest organ to be injured in primary blast injury is - EAR drum or tympanic membrane (Eardrum > Lumg > Eye > Intestine).* Antemortem abrasion can be confused with Ant-bite marks**